Infectivity of chicken pox is seen-
1. Till last scab falls off
2. 3 days after the appearance of rash
3. 6 days after the appearance of rash
4. As long as the fever lasts

Correct answer: 3. 6 days after the appearance of rash